Auzpitz sign is seen in -
1. Psoriasis
2. LichenPlanus
3. Alopeciaaerata
4. Lichensclerosus

Correct answer: 1. Psoriasis

Explanation: Ans. is 'a' i.e., Psoriasis Various bed side tests and signs associated with psoriasis :-1. Grattage test :- Scraping of the psoriasis lesion causes accentuation of silvery scales (due to trapping of air).2 Auspitz's sign :- Scraping of the psoriasis lesion causes accentuation of silvery scales (like in grattage test). If scrapping is continued further, a glistening white membrane (Bulkely's Membrane) appears. On removing this membrane, punctate (pin point) bleeding becomes visible, referred to as auspitz's sign.3. Woronoffs ring: - Occasionally a hypopigmented ring is seen surrounding the lesion, k/a woronofFs ring. Mostly associated with treatment with topical steroids.